The collaural fistula is an abnormality of
1. 1st branchial arch
2. 1st branchial cleft
3. 2nd branchial arch
4. 2nd branchial cleft

Correct answer: 2. 1st branchial cleft

Explanation: The collaural fistula is a 1st branchial cleft anomaly which arises from the failure of fusion of the ventral part of the 1st cleftIts upper part opens into the floor of the external auditory canalIts lower part opens in the neck between the angle of the mandible and sternocleidomastoid muscleRef: PL Dhingra, Diseases of Ear, Nose & Throat, 7th edition, pg no. 53